T.B. testis first affects:
1. Vas
2. Epididymis
3. Body of testis
4. Tunica vaginalis

Correct answer: 2. Epididymis

Explanation: The disease first affects the epididymis. The body of testis may remain uninvolved for years, but the contra lateral epididymis often becomes diseased.
Treatment is - ATT
if ds. does not resolve, epididymectomy or orchidectomy is indicated.